Onion peel appearance in X-ray suggests-
1. Osteogenic sarcoma
2. Ewing's sarcoma
3. Osteoclastoma
4. Chondrosarcoma

Correct answer: 2. Ewing's sarcoma

Explanation: Onion - peel appearance


Typical of →  Ewing's sarcoma
May also be seen in → Osteosarcoma and osteomyelitis.